Erethism occur in:
1. Hg
2. As
3. Pb
4. Cu

Correct answer: 1. Hg

Explanation: A i.e. Hg (Mercury) Chronic mercury (Hg) poisoning presents with excessive salivationQ, diphtheria like membranous colitis dysentery and membranous glomerulonephritis, coarse tremors, insomnia, anorexia, PCT necrosisQ, Pink disease, erethism (i.e. disturbed personality in form of excrssive shyness & irritability) and mercuria lentis (i.e. brown spot on anterior capsule of lens)Q.